A 45-year-old hypertensive male presented with sudden onset severe headache, vomiting and neck stiffness. On examination, he didn't have any focal neurological deficit. His CT scan showed blood in the Sylvain fissure. The probable diagnosis is -
1. Meningitis
2. Ruptured aneurysm
3. Hypertensive bleed
4. Stroke

Correct answer: 2. Ruptured aneurysm